Baclofen is used for
1. Schizophrenia
2. Depression
3. Anxiety
4. Spasticity

Correct answer: 4. Spasticity

Explanation: Baclofen is a centrally acting skeletal muscle relaxant. Baclofen is a muscle relaxer and an antispastic agent. Baclofen is used to treat muscle symptoms caused by multiple sclerosis, including spasm, pain, and stiffness. Baclofen is sometimes used to treat muscle spasms and other symptoms in people with injury or disease of the spinal cord. Baclofen is used to treat muscle spasms caused by certain conditions (such as multiple sclerosis, spinal cord injury/disease).